The managment of thyrotoxic crisis includes all the following except:
1. Propranolol
2. Hydrocortisone
3. Oral I131
4. Propylthiouracil

Correct answer: 3. Oral I131